Which of the following function about spinocerebellar tract is TRUE?
1. Equilibrium
2. Smoothes and coordinates movement
3. Learning induced by change in vestibulo ocular reflex
4. Planning and programming

Correct answer: 2. Smoothes and coordinates movement

Explanation: The spinocerebellar pathway is organised into the ventral and dorsal tracts. Both these tracts transmits proprioceptive and exteroceptive impulses from the body. They occupy the periphery of the lateral aspect of the spinal white matter and carry proprioceptive and cutaneous information to the cerebellum for the coordination of movement and maintenance of posture. Ref: Barrett K.E., Barman S.M., Boitano S., Brooks H.L. (2012). Chapter 8. Somatosensory Neurotransmission: Touch, Pain, and Temperature. In K.E. Barrett, S.M. Barman, S. Boitano, H.L. Brooks (Eds), Ganong's Review of Medical Physiology, 24e.